The brushing method recommended for individuals with open interdental spaces with missing papillae and exposed root surfaces is,
1. Fones method
2. Charters method
3. Bass Method
4. Smith method

Correct answer: 2. Charters method